The enzyme that splits hydrogen peroxide into water and oxygen is:
1. Cytoch romes
2. Cytochrome P 450
3. Super oxide dismutase
4. Catalase

Correct answer: 4. Catalase